A 1-year-old child presented with a swelling in the left flank with episodes of flushing, diarrhea, sweating and bone pain. The diagnosis is -
1. Neuroblastoma
2. Wilm's tumor
3. Medulloblastoma
4. Pheochromocytoma

Correct answer: 1. Neuroblastoma

Explanation: Ans. is 'a' i.e., Neuroblastoma Clinical manifestations of neuroblastoma o Because neuroblastoma arises from neural crest derivatives of sympathetic nervous system, it produces catecholamines. o So, it may cause clinical feature due to : 1. Primary tumor 2. Metastais 3. Catecholamine secretion